A young asymptomatic female is observed to have a Mid-systollic click on routine examination. Valves are likely to show
1. Myxomatous degeneration
2. Aschoff bodies
3. Calcified degeneration
4. Rupture chordae tendinae

Correct answer: 1. Myxomatous degeneration

Explanation: Ref Harrison 19 th ed pg 1546 MVP, also variously termed the systolic click-murmur syndrome, Barlow's syndrome, floppy-valve syndrome, and billowing mitral leaflet syndrome, is a relatively common but highly variable clinical syndrome resulting from diverse pathologic mechanisms of the mitral valve apparatus. Among these are excessive or redundant mitral leaflet tissue, which is commonly associated with myxomatous degeneration and greatly increased concentrations of certain glycosaminoglycans.